Spongiosis involves ?
1. Stratum basal
2. Stratum carneum
3. Stratum granulosum
4. Stratum spinosum

Correct answer: 4. Stratum spinosum

Explanation: Ans. is 'd' i.e., Stratum spinosum Separation of keratinocytes due to loss of intracellular bridges --> Acantholysis Intracellular edema of keratinocytes ---> Ballooning Stratum basale Acantholytic cells of pemphigus vulgaris are derived from stratum basal. Basal cell degeneration occurs in Lichen planus. Stratum spinosum Intercellular (in between the cells) edema --> Spongiosis Thickening --> Acanthosis Stratum granulosum Thickening-Hypergranulosis Stratum corneum Retention of nuclei within cells Thickening Stratum corneum is involved in --> Parakeratosis --> Hyperkeratosis --> Micromunro abscess, Dermatophytes